After exploration of common bile duct, the T- Tube is removed on whcih of the following days -
1. 3 postop.day
2. 4 postop. day
3. 12 postop.day
4. 6 postop day

Correct answer: 3. 12 postop.day